Vertebra plana seen in -a) Eosinophilia granulomab) Traumac) Paget's diseased) Malignancye) Ewing's sarcoma
1. abcd
2. bcde
3. abde
4. ade

Correct answer: 3. abde

Explanation: Vertebra plana 

This term is used to describe uniform collapse of a vertebral body into a thin, flat disc. The most common cause is eosinophilic granuloma, with the thoracic vertebrae most frequently affected. Causes are :-


Histocytosis - X (Eosinophilic granuloma)
Leukemia
TB
Metastasis, Multiple myeloma, Ewing's sarcoma, lymphoma
Osteochondritis of vertebral body (Calve's disease)
Hemangioma
Trauma
Steroids